Which one of the following drugs is contraindicated in treatment of dendritic corneal ulcer
1. Atropine
2. Cefazolin
3. Acyclovir
4. Dexamethasone

Correct answer: 4. Dexamethasone

Explanation: Ans.(d) DexamethasoneRef: A.K. Khurana 6th ed. /108-109* Dendritic ulcer is an irregular linear branching ulcer with knobbed ends and reduced corneal sensations seen in epithelial keratitis* It is caused by herpes simplex infection.* Steroids cause progression of dendritic ulcer, into geographical ulcer so, they are contraindicated.* The treatment is done with 3% acyclovir ointment and mechanical debridement. Other antibiotics may be required if there is a secondary infection.